Eradication of Helicobacter pylori has been proved to beneficial in which of the following disorders of the stomach
1. Low grade malt lymphoma
2. Erosive gastritis
3. Carcinoma stomach
4. Gastroesophageal disease

Correct answer: 1. Low grade malt lymphoma

Explanation: HELICOBACTER PYLORI hydrolyses urea so as to release ammonia which through negative feedback mechanism increases the gastrin release from G-cells. * Infection occurs in the stomach, i.e. body, fundus, antrum, which in turn disrupts the mucosal barrier and causes a chronic inflammatory response which leads to gastritis, gastric ulcer. * It also secretes cytotoxins (cagA and vacA) which may also be involved in inflammatory reaction or malignancy. * Even though normal duodenum cannot harbour the Helicobacter, duodenum with gastric metaplasia can very well get infected by Helicobacter which explains why Helicobacter is involved in duodenal ulcer. Ref: SRB's manual of surgery,3 rd ed, pg no 751